Which of the following investigation is used to confirm anorchia?
1. PET
2. MRI
3. Laparoscopy
4. USG

Correct answer: 3. Laparoscopy

Explanation: Ans. (c) LaparoscopyRef: Smith 17th Edition, Page 25* Gold standard investigation for non-palpable testis is diagnostic laparoscopy* Blind ended testicular artery implies absence of testis.* Blind ended Vas doesn't conclude absent testis